Most common cause of hypercalcemia crisis is:
1. Parathyroid adenoma
2. Parathyroid hyperplasia
3. Carcinoma breast
4. Paget's disease

Correct answer: 3. Carcinoma breast

Explanation: Ans. (c) Carcinoma breastRef: Harrison 18/e p 3106* MC cause of Hypercalcemia - Parathyroid adenoma* MC cause of Hypercalcemic Crisis - Malignancy (Cancer Breast is the MC cause)